Gastric enzyme which is present in the stomach of infants but absent from stomach of adults
1. Pepsin
2. Rennin
3. Trypsin
4. Lipase

Correct answer: 2. Rennin

Explanation: (B) Rennin # Rennin, also called Chymosin, is present in the stomach of infants and children.> It is involved in curdling of milk.> It converts casein to calcium paracaseinate which is digested by pepsin>It is absent in adults.